Trousseau sign positive in which poisoning ?
1. Citric acid
2. Oxalic acid
3. Acetic acid
4. Carbolic acid

Correct answer: 2. Oxalic acid

Explanation: Ans. is 'b' i.e., Oxalic acid Trousseou's sign and chovstek's sign are seen in hypocalcemia. Oxalic acid poisoning can cause hypoclacemia. Oxalic acid It is also known as salt of sorrel or acid of sugar. It is used to erase writing, as bleaching agent and in calico printing. It occurs in leaves of rhubarb. Local effects : Oxalic acid rarely damages the skin but readily corrode the mucus membrane of digestive tract. Systemic : (i) Shock : Large doses can cause death from shock; (ii) Hypocalcemia : Oxalic acid readily combines with calcium to cause hypocalcemia, which may present as tingling, numbness, twitching, tetany, and convulsions, (iii) Renal damage : It is due to oxaluria which may cause tubular necrosis. Antidote : Any calcium preparation (e.g. calcium gluconate/chloride, lime water, suspension of chalk) which converts poison into insoluble calcium oxalate is an antidote for oxalate poisoning.